Renal calculus is seen in massive bowel resection due to -
1. Reduced renal calcium excretion
2. More calcium absorption in gut
3. More oxalate absorption in gut
4. None of the above

Correct answer: 3. More oxalate absorption in gut